Normal fluoride level in water:
1. 2.0 mg/1
2. 0.5 mg/1
3. 1.5 mg/1
4. 2.5 mg/1

Correct answer: 2. 0.5 mg/1

Explanation: Ref: 21st edition Park, pg 577 & pg 668Explanation:The major source of fluorine to man is drinking water.In most parts of India the fluoride content of drinking water is about 0.5 mg/L.The recommended maximum limit of concentration of fluoride is 1.5 mg/litre.